All of the following are true about MRSA except—
1. resistance is produced by alternating PBP
2. Resistance may be produces by beta lactamase hyperproduction
3. Resistance is primarly mediated via plasmid
4. Resistance may be missed at incubation tempreture of 37degree during susectiblity testing

Correct answer: 3. Resistance is primarly mediated via plasmid